FNAC is not useful in which thyroid cancer -
1. Follicular Carcinoma
2. Pappilary carcinoma
3. Medullary Carcinoma
4. Thyroid Lymphoma

Correct answer: 1. Follicular Carcinoma

Explanation: Ans. is 'a' i.e., Follicular Carcinoma FNAC in Follicular carcinoma of thyroido It cannot distinguish between a Follicular Adenoma and a Follicular Carcinoma as this distinction is dependent not on cytology but on histological criteria such as capsular and vascular invasion. It thus cannot be used to diagnose follicular carcinomas